ABO incompatibility not seen with:
1. Fresh frozen plasma
2. Platelet rich plasma
3. Single donor platelets
4. Cryoprecipitate

Correct answer: 4. Cryoprecipitate

Explanation: ABO incompatibility is seen with Whole Blood Plasma Platelets -ABO incompatible plasma carries a high risk of transfusion reactions, therefore, plasma transfusions should always be ABO compatible. -The platelets bear the intrinsic ABO antigens. So, platelet-rich plasma and single donor platelets also should be preferably ABO compatible. -So, the answer of exclusion is cryoprecipitate. It is not carrying ABO antigens but should preferably be ABO compatible to avoid even the minimal risk of hemolytic reaction.